An albino girl gets married to a normal boy. What are the chances of their having an affected child and what are the chances of their children being carriers?
1. None affected, all carriers
2. All normal
3. 50% carriers
4. 50% affected, 50% carriers

Correct answer: 1. None affected, all carriers

Explanation: **Albinism is autosomal recessive; Female here is affected (2 defective genes), while male is normal (both genes normal). **So each offspring (son/daughter) will inherit one defective gene only, from the mother. **So all children will be carriers of albinism and none will be affected.